Select true statement regarding Correlation
1. In moderately positive correlation, rise in one variable leads to rise in other
2. In perfectly negative correlation, rise in one variable leads to proportionate rise in other
3. In moderately negative correlation, fall in one variable leads to proportionate fall in other
4. In perfectly positive correlation, rise in one variable leads to proportionate fall in other

Correct answer: 1. In moderately positive correlation, rise in one variable leads to rise in other

Explanation: Types of correlation Scatter diagram Correlation coefficient Interpretation perfectly positive correlation Both lines haves a positive slope (at 45 degree each); superimposed r=+1 Rise in one variable leads to proportionate rise in other perfectly negative correlation Both lines have a negative slope (at 45 degree each); superimposed r=-1 Rise in one variable leads to proportionate fall in other Moderately positive correlation Both lines have a positive slope 0<r<+1 Rise in one variable leads to rise in other Moderately negative correlation Both lines have negative slope -1<r<0 Rise in one variable leads to fall in other No (absent) correlation Both lines are perpendicular r=0 Rise / fall in one variable leads to no change in other Spurious (false) correlation No particular pattern observed - No particular pattern observed